Area of brain resistant to NFTs in Alzheimer's disease:
1. Visual association area
2. Entorhinal cortex
3. Lateral geniculate body
4. Cuneal gyrus area VI / temporal lobe

Correct answer: 3. Lateral geniculate body

Explanation: C i.e. Lateral geniculate body Alzheimer's disease, a type of cortical dementia, does not involved sub cortical areas such as lateral geniculate body (nucleus)- a part of thalamusQ. Earliest and most severe degeneration is usually found in medial temporal lobe (entorhinal/ perirhinal cortex & hippocampus), lateral temporal cortex and nucleus basalis of MeynertQ. Area of visual association and cuneal gyrus (VI) are also cortical areas.